Malignant change in lipoma is most common in ?
1. Thigh
2. Nape of neck
3. Retroperitoneum
4. Back

Correct answer: 3. Retroperitoneum

Explanation: Ans. is 'c' i.e., Retroperitoneum